Which of the tumours are unique to pregnancy
1. Luteoma
2. Serous cystadenoma
3. Mucinous cystadenoma
4. Teratoma

Correct answer: 1. Luteoma

Explanation: *Physiological proliferation of luteal cells in response to gonadotrophins in pregnancy - Theca lutein hyperplasia of pregnancy*Pathological proliferation of luteal cells in response to gonadotrophins in pregnancy- Luteoma . Luteoma is a type of sex cord stromal tumours( Ref: Robbins 8/e p1051)